Which congenital heart disease is associated with pre excitation ?
1. Atrial Septal Defect
2. Bicuspid Aortic Valve
3. Ebstein's Anomaly
4. Patent Ductus Arteriosus

Correct answer: 3. Ebstein's Anomaly